A premature baby of a diabetic mother was kept in incubator in neonatal ICU following respiratory distress. Which of the following indicates RDS in a newborn?
1. Onset after 6 hours of age
2. Antenatal corticosteroid therapy in mother
3. Air bronchogram on chest X-ray
4. Term gestation

Correct answer: 3. Air bronchogram on chest X-ray

Explanation: Radiological features of respiratory distress syndrome (RDS): Reticulogranular pattern Ground glass opacity Low lung volume Air bronchogram Whiteout lung (in severe disease) Must know: Hyaline membrane disease (HMD) or respiratory distress syndrome (RDS): It is common in preterm babies less than 34 weeks of gestation. It is the commonest cause of respiratory distress in a preterm neonate. Respiratory distress usually occurs within the first 6 hours of life. In addition to prematurity, asphyxia, acidosis, maternal diabetes, and cesarean section can increase the risk of developing RDS. Antenatal corticosteroid therapy in mother will decrease the incidence of RDS. Prenatal diagnosis: Determining L/S ratio in the amniotic fluid. Ref: Essential Pediatrics by O.P. Ghai, 7th edition, Page 143.